Teriparatide can be used for the treatment of :
1. Osteoporosis
2. Hormone responsive breast carcinoma
3. Polycystic ovarian disease
4. Hyperparathyroidism

Correct answer: 1. Osteoporosis

Explanation: (Ref: KDT 6/e p329) Teriparatide is a recombinant PTH having first 34 amino acids. It can be used for the treatment of osteoporosis.